The best time of the menstrual cycel for endometrial biopsy in infertility investigation is :
1. First day of menstruation
2. One week after the onset of menstruation
3. Just near due date of the next menstruation
4. On the 15th day of the onset on menstruation

Correct answer: 3. Just near due date of the next menstruation

Explanation: Just near due date of the next menstruation